Adenovirus causes all except:
1. Hemorrhagic cystitis
2. Diarrhea
3. Respiratory tract infection
4. IMN

Correct answer: 4. IMN

Explanation: Ans. is 'd' i.e., IMN(Ref: Harrison, 18th/e, p. 1491; Ananthanarayan, 9th/e, p. 482 and 8th/e, p. 480 - 481)* Hemorrhagic cystitis - Adenovirus serotype 11, 22.* Diarrhea and vomiting - Adenovirus serotype 40, 41.* Respiratory tract infection - Adenovirus serotype 1 to 7, 14, 14a, 21.